Tumor that follows rule of 10 is
1. pheochromocytoma
2. Onocytoma
3. Lymphoma
4. Renal cell carcinoma

Correct answer: 1. pheochromocytoma

Explanation: Pheochromocytomas are neoplasms composed of chromaffin cells. They follow rule of 10: - 10% of pheochromocytomas are extra adrenal - 10% of sporadic adrenal pheochromocytomas are bilateral - 10% of adrenal pheochromocytomas are biologically malignant. -10% of adrenal pheochromocytomas are not associated with hypertension. Ref: Robbins and cotrans 9e